Sugarcane induced lung disease?
1. Byssinosis
2. Bagassosis
3. Pneumoconiosis
4. Asbestosis

Correct answer: 2. Bagassosis

Explanation: Ans. b (Bagassosis). (Ref. Harrison, Principles of Medicine, 18th/Ch.261) LUNG DISEASEORGANISMCAUSE1BagassosisThermophilic actinomycetesSugarcane2Compost lungAspergillusCompost3Farmer's lungThermophilic actinomycetesMouldy hay4Maltworker's lungAspergillus fumigatus/clavatusMaple bark5Byssinosis--Cotton6Stannosis--iron